Tumor arises from embryonic neural cells?
1. Fibrous astrocytoma
2. Neuroglioma
3. Ependymoma
4. Medulloblastoma

Correct answer: 4. Medulloblastoma

Explanation: Medulloblastoma is the most common type of primarybrain cancerin children. Originate from immature or embryonal cells at their earliest stage of development Usually found in the vicinity of the fourth ventricle, between thebrainstemand the cerebellum.